True about residual volume-
1. Volume of air in lung after normal inspiration
2. Volume of air in lung after maximum inspiration
3. Volume of air in lung after normal expiration
4. Volume of air in lung after maximum expiration

Correct answer: 4. Volume of air in lung after maximum expiration

Explanation: Ans. is 'd' i.e., Volume of air in lung after maximum expiration * Residual volume is the volume of air that remains in the lungs after maximal expiration.Respiratory Volumes and Capacities for an Average Young Adult Male MeasurementTypical valueDefinition Respiratory volumes1.Tidal volume (TV)500 mlAmount of air inhaled or exhaled in one breath during relaxed, quiet breathing2.Inspiratory reserve volume (IRV)3000 mlAmount of air in excess of tidal inspiration that can be inhaled with maximum effort3.Expiratory reserve volume (ERV)1200 mlAmount of air in excess of tidal expiration that can be exhaled with maximum effort4.Residual volume (RV)1200 mlAmount of air remaining in the lungs after maximum expiration, keeps alveoli inflated between breaths and mixes with fresh air on next inspiration Respiratory Capacities5.Vital capacity (VC)4700 mlAmount of air that can be exhaled with maximum effort after maximum inspiration (ERV+TV+IRV); used to assess strength of thoracic muscles as well as pulmonary function6.Inspiratory capacity (IC)3500 mlMaximum amount of air that can be inhaled after a normal tidal expiration (TV + IRV)7.Functional residual capacity (FRC)2400 mlAmount of air remaining in the lungs after a normal tidal expiration (RV + ERV)8.Total lung capacity (TLC)5900 mlMaximum amount of air the lungs can contain (RV + VC)